All of the following are associated with 'Episodic' weakness, except:
1. Channelopathy
2. Lambert Eaten Syndrome
3. Hyperphosphatemia
4. Hyperkalemia

Correct answer: 3. Hyperphosphatemia

Explanation: Answer is C (Hyperphosphatemia): Hypophosphatemia is associated with 'Episodic' generalized weakness and not Hyperphosphatemia. Channelopathies, Hyperkalemia and Lambert-Eaten syndrome may all be associated with episodic generalized weakness (Refer table in previous question)